Commercially available digital imaging includes:
1. RVG
2. Flash dent
3. Sense-a–ray
4. All of the above.

Correct answer: 4. All of the above.

Explanation: Digital imaging (commercially available): 
• RVG 
• Flash dent 
• Sense-a–ray